The occlusion in an obturator appliance of elderly patient should be?
1. Balanced towards the kesion
2. Margin to fossa
3. Monoplane
4. Cusp to cusp

Correct answer: 3. Monoplane